The most common mechanism for transfer of resistance in Staphylococcus aureus is :
1. Conjugation
2. Transduction
3. Transformation
4. Mutation

Correct answer: 2. Transduction

Explanation: Transduction is particularly important in the transfer of resistance among staphylococci.
Multidrug resistance is transferred by conjugation.